Bevelling of skull is seen in:
1. Drowning
2. Hanging
3. Firearm injury
4. Road Traffic accident

Correct answer: 3. Firearm injury

Explanation: Ans. C i.e. Firearm injury Firearm wounds of skull In beveling the exit wound is bigger than the inlet wound There is internal beveling in the inlet and external beveling in the exit.